Best X-ray view taken to visualize Maxillary sinus-
1. Water's view
2. Caldwell's view
3. Lateral view
4. Occlusive anterior view

Correct answer: 1. Water's view

Explanation: Figure: Water's view WATER /OCCIPITOMENTAL VIEW:Best view for maxillary sinus. Waters view with open mouth is called Pierres View CALDWELL VIEW/OCCIPITOFRONTAL VIEW: Best view for frontal sinus. LATERAL VIEW: Sella, Sphenoid sinus Points to be remembered: Area View Superior orbital fissure Caldwell view Inferior orbital fissure Townes view Orbital floor Water view Optic foramen/canal Rhese view